Most common bacterial infection in lymphedema is?
1. Staphylococcus
2. Streptococcus
3. E. Coli
4. Pseudomonas

Correct answer: 2. Streptococcus

Explanation: Streptococcus REF: Differential diagnosis in internal medicine: from symptom to diagnosis by Walter Siegenthaler page 388 Tissues with lymphedema are at risk of infection. Cellulitis is both a cause and complication of lymphedema. The most common complication of both primary and secondary lymphedema is erysipelas (acute streptococcus bacterial infection of the deep epidermis with lymphatic spread). Cellulitis may occur concurrently in lymphedema because the pooling of protein-rich lymph fluid makes it easier for the patient to develop an infection.